Pilocarpine in eye causes -
1. Active miosis
2. Active mydriasis
3. Passive miosis
4. Passive mydriasis

Correct answer: 1. Active miosis

Explanation: Ans: A. Active miosis(Ref: KDT 7h/e p' 114 & 6th/e p 200)Miosis (constriction of PuPil)Parasympathomimelic (muscarinic) drugs:By stimulating the contraction of circular muscles (pupillary sphincter).As miosis is due to active contraction of muscle - Called "Active miosis".